GnRH analogues may be given in all of the following except
1. Prostate Cancer
2. Endometrial Cancer
3. Fibromyoma -uterus
4. Precocious puberty

Correct answer: 2. Endometrial Cancer

Explanation: Uses of GnRH analogues Infertility caused by PCOS and endometriosis and in hypothalamic hypogonadal infertility Hypothalamic amenorrhea Cryptorchism in males Precocious puberty AUB Medical management of fibroids Endometriosis Breast cancer to suppress estrogen Prostatic cancer Ref: Shaw's Textbook of Gynaecology, 16th edition, page no: 320